Kluver Bucy syndrome is due to the lesion in which of the following structure
1. Amygdala
2. Hippocampual area
3. Hypothalamus
4. Temporal lobe

Correct answer: 1. Amygdala

Explanation: Bilateral destruction of the temporal lobe is associated with the destruction of the amygdala, which leads to the Kluver-Bucy syndrome. Kluver-Bucy syndrome is characterized by Ref: guyton and hall textbook of medical physiology 12 edition page number:826,827,828 Extreme morality Loss of fear Decreased aggressiveness Tameness Changes in eating behavior Psychic blindness Excessive sexual drive.